Type I hypersensitivity is mediated by which of the following immunoglobulins ?
1. Ig A
2. Ig G
3. Ig M
4. Ig E

Correct answer: 4. Ig E

Explanation: Harshmohan textbook of pathology 7th edition. *type 1 or anaphylactic or atopic reaction mediated by humoral antibodies of IgE type or reagin antibodies in response to antigen.